Adenocarcinoma of the uterus along with rhabdomyosarcoma of the uterus is seen, the condition is called -
1. Homologous sarcoma
2. Heterologous sarcoma
3. Mixed Mullerian tumour
4. Carcinoma botryoides

Correct answer: 3. Mixed Mullerian tumour

Explanation: Carcinosarcomas are also referred to as malignant mixed mullerian tumors.